Which of the following drugs has no cycloplegic action ?
1. Atropine
2. Cyclopentolate
3. Tropicamide
4. Phenylepherine

Correct answer: 4. Phenylepherine